There is defect in production of melanin in all except-
1. Albinism
2. Vitiligo
3. Piebaldism
4. Melasma

Correct answer: 4. Melasma

Explanation: In melasma is a accuired hyperpigmentary disorder affecting predominantly over face. etiology is ultra violet rays. It is also triggered by pregnancy and oral contraceptive pills. All the other given conditions are associated with defects in melanin pproduction IADVL textbook of dermatology, pigmentary disorders,page745